Stimulation of horizontal semicircular canal causes nystagmus in which directions ?
1. Vertical
2. Horizontal
3. Rotary
4. Any of the three

Correct answer: 2. Horizontal

Explanation: Ans. is 'b' i.e., Horizontal The cupulae of the semicircular canals are stimulated by movement of endolymphatic fluid and each canal causes the nystagmus in its own plane :- Stimulation of horizontal SCC - 4 Horizontal nystagmus. Stimulation of superior SCC - 4 Rotary nystagmus. Stimulation of vertical SCC - Vertical nystagmus